Blood testes barrier is formed by -
1. Sertoli cells
2. Ependymal cells
3. Mesenchymal cells
4. Spermatozoa

Correct answer: 1. Sertoli cells

Explanation: Ans. is 'a' i.e., Sertoli cells Blood testes barrier* The blood-testis barrier is a physical barrier between the blood vessels and the seminiferous tubules of the testes.* The walls of seminiferous tubules are lined with primitive germ layer cells and by Sertoli cells. The barrier is formed by tight junctions, adherens junctions and gap junctions between the Sertoli cells.* The presence this allows Sertoli cells to control the environment in which germ cells (spermatocytes, spermatids and sperm) develop by influencing the chemical composition of the luminal fluid. The barrier also prevents passage of cytotoxic agents (bodies or substances that are toxic to cells) into the seminiferous tubules.